Chandlers index is used for -
1. Hookworm infestation
2. Roundworm
3. Malaria
4. Filaria

Correct answer: 1. Hookworm infestation

Explanation: Ans. is 'a' i.e., Hookworm infestation o Morbidity and mortality from hookwork infection depends on the worm load.o Chandler worked out an index, Chandler's index, on the basis of average number of hookworm eggs per gram of feces for the entire community.Average no. of eggs per gram of stools# Below 200---Hookworm infection is not much of significance# 200-250---Potential danger# 250-300---Minor public health problem# Above 300---Important public health problem